DNA is detected by:
1. Southern blot
2. Northern blot
3. Western blot
4. Eastern blot

Correct answer: 1. Southern blot

Explanation: Ans. is 'a' i.e., Southern blot(Ref: Harrison, 18th/e, p. 521 and 17th/e, p. 390)